All of the following are features of mumps, except:
1. Caused by paramyxovirus
2. Aseptic meningitis is a complication in children
3. Orchitis is a complication in adults
4. Incubation period is less than 2 weeks

Correct answer: 4. Incubation period is less than 2 weeks

Explanation: d. Incubation period is less than 2 weeks(Ref: Nelsons' 20/e p 1552-1553, Ghai 8/e p 217-218)Mumps virus is a single stranded RNA virus in the family Paramyxoviridae and the genus Rubulavirus.